Killian Dehiscence is in
1. Superior constrictor
2. Inferior constrictor
3. Middle constrictor
4. None

Correct answer: 2. Inferior constrictor

Explanation: In the posterior wall of pharynx, the lower part of the thyropharyngeus is a single sheet of muscle, not overlapped internally by the superior and middle constrictors. This weak part lies below the level of the vocal folds or upper border of the cricoid lamina and is limited inferiorly by the thick cricopharyngeal sphincter. This area is known as Killian's dehiscence.Pharyngeal diverticula are formed by outpouching of the dehiscence. Ref BDC volume3,sixth edition pg 234